A 6 month child with cough is having respiratory rate of 50/ min. This indicates:
1. No pneumonia
2. Pneumonia
3. Severe pneumonia
4. Very severe pneumonia

Correct answer: 2. Pneumonia

Explanation: Ans: B i.e. Pneumonia Acute low respiratory tract infection 'No pneumonia' is when patient is having cough & cold but NO fast breathing, NO chest indrawing or NO indicators of severe illness 'Pneumonia' is said to be present if respiratory rate is 60 or more in less than 2 months of age; 50 or more in 2-12 months & 40 or more in 12-60 months of age (treated by cotrimoxazole at home) 'Severe pneumonia' if there is chest indrawing (treated by I/V or I/M penicillin at hospital) 'Very severe pneumonia' is indicated by presence of severe chest indrawing & inability to feed (treated by I/V chloramphenicol at hospital)